Scald burns can be caused by:
1. Molten metal
2. Electric burns
3. High temperature liquids
4. Lightening stroke

Correct answer: 3. High temperature liquids

Explanation: Ans. (c) High temperature liquidsRef: The Essentials ofFSM by K.S. Narayan Reddy 31st ed. 1305SCALDS: caused by application of liquid above 60degC or steam. Skin becomes sodden and bleach. Clothes are wet but do not burn.